Rests of Malassez have potential to form:
1. Epithelial tubes.
2. Epithelial Diaphragm.
3. Epithelial lining of Dental Cyst.
4. All of the Above.

Correct answer: 3. Epithelial lining of Dental Cyst.

Explanation: Surrounding connective tissue by a basal lamina, known as the epithelial cell rests of Malassez.
In adults these epithelial cell rests persist next to the root surface within the periodontal ligament. Although apparently functionless, they are the source of the epithelial lining of dental cysts that develop in reaction to inflammation of the periodontal ligament.